which of the following is not a theory of mechanism of AGING ?
1. free radicle theory
2. crosslinking the collagen theory
3. telomerase shortening theroy
4. lysosomal degeneration theory

Correct answer: 4. lysosomal degeneration theory

Explanation: MECHANISMS OF AGING Theory Principle DNA & Genetic Theory -Aging is predetermined by genetic programmng. Neuroendocrine Theory -Loss of hypothalamic regulation and cell sensitivity to ormones. Free Radical Theory Cellular damage by production of metabolic free adicals. Membrane Theory -Decline in cell efficiency loss of lipid in cell membane. Hayflick Limit Theory Limitation of cell division. Mitochondial Decline Theory -Dysfunction of mitochondria in cells. Cross-Linking Theory Impairment of protein functions glycosylation. ref : robbins 10th ed